Hot spot in MI is seen in
1. Th-201
2. Gallium
3. Pyrophosphate Tc99
4. Albumin

Correct answer: 3. Pyrophosphate Tc99

Explanation: C i.e. Pyrophosphate Tc99